The rate-limiting step in the biosynthesis of catecholamines is catalyzed by
1. Tyrosine hydroxylase
2. Dopa decarboxylase
3. Dopa mine f3 hydroxylase
4. Catechol-O-methyltransferase

Correct answer: 1. Tyrosine hydroxylase

Explanation: The rate limiting step in the synthesis of catecholamines is catalysed by tyrosine hydroxylase Ref : guyton and hall textbook of medical physiology 12 edition page number:605,606,607